Early onset sepsis in a neonate occurs within
1. 12 hours
2. 24 hours
3. 48 hours
4. 72 hours

Correct answer: 4. 72 hours

Explanation: Early-onset sepsis (EOS) (less than 72 hr) infections are caused by organisms prevalent in the maternal genital tract or in the delivery area.Late-onset sepsis (LOS) (72 hr or later) infections are caused by the organisms thriving in the external environment of the home or the hospital. The infection is often transmitted through the hands of the care providers.Ref: Paediatrics; O.P. Ghai; 8th edition; Page no: 163